Wolfe grafts is
1. Full thickness skin grafts
2. Partial thickness skin grafts
3. Split-skin grafts
4. Pedicled flap

Correct answer: 1. Full thickness skin grafts

Explanation: .wolfe graft is a ful thickness graft consisiting of epidermis and full layer of dermis thiersch graft is a partial thickness graft consisiting of epidermis and variable layers of dermis